Tactile hallucination seen in abuse with ?
1. Heroine
2. Cocaine
3. Cannabis
4. Alcohol

Correct answer: 2. Cocaine

Explanation: Ans. is 'b' i.e., Cocaine Magnan's symptoms is tactile hallucination (formication) i.e. feeling of bugs crawling under the skin is seen with cocaine abuse/ poisoning. Cocaine Cocaine is an alkaloid derived from the Coca bush, Erythrexylum CoCa. It was the first local anaesthetic which was used clinically. Toxicity of cocaine may be : ? A) Acute toxicity : - Acute cocaine intoxication is characterized by : ? 1) Sympathetic hyperactivity : - Tachycardia, hypertension, mydriasis, sweating, nausea & vomiting. 2) Hypomanic state : - Increased psychomotor activity, grandiosity, elation, hypervigilance, Increased speech output. B) Chronic overuse : - Chronic overuse can cause : ? 1) Psychotic episodes (Cocaine psychosis) : - Persecutory delusions with tactile hallucinations (formination). Tactile hallucinations are manifested as bugs crawling under the skin - Cocaine bugs or magnan's symptoms. 2) Other : - Anxiety reaction, compulsive behavior, delirium and delusional disorders. 3) Black pigmentation of tongue and teeth A combination of cocaine and heroin taken by injection is called speed ball.